In an ablated animal, myeloid series cells are injected. Which of following is seen after incubation period?
1. RBCs
2. Fibroblasts
3. T lymphocytes
4. Hematopoetic stem cells

Correct answer: 1. RBCs

Explanation: Ans. a. RBCs (Ref: Robbins 9/e p580, 8/e p590-593; Harrison 19/e 89e-1, 18/e p539-542)As ablated animal is injected with myeloid series cell, it will show RBC's after incubation period.Hematopoietic Stem CellsHematopoietic stem cells are able to generate every lineage found in the hematopoietic system including RBCs, platelets and a variety of lymphoid cells.Hematopoietic Stem Cells differentiates into Two ProgenitorsCommon Lymphoid Progenitors (CLP)Common Myeloid Progenitors* Generate cells of the lymphoid cells; B and T lymphocytes, Natural killer cellsQ* Generate RBCs, platelets, granulocytes and monocytes, dendritic cells, macrophage progenitorQHematopoiesisStem - Progenitor - Precursor - Adult - MatureCommitted Progenitor Stage to Mature Cell (Erythropoiesis)Common myeloid progenitor - Proerythroblast - Basophilic erythroblasl - Polychromatic erythroblast - Polychromatic erythrocyte (reticulocyte) -Erythrocyte (RBC)(CFV - colony firming unit; SCF Stem cells factor; FIt3L, Flt3 lipand; LIN - Nepatine for lineage specific markers)